False regarding Klumpke's paralysis is:
1. Claw hand deformity
2. Intrinsic muscles of hand involved
3. Homers syndrome
4. Upper trunk of brachial plexus involved

Correct answer: 4. Upper trunk of brachial plexus involved

Explanation: Ans: D (Upper trunk of brachial plexus involved) Ref: Gray's Anatomy, 39th edition, 2008.Page.848Explanation:Klumpke's paralysis:Site of injury: Lower trunk of brachial plexus (mainly T1 & partly C8)Cause of injury: Forcible breech delivery-. Pancoast tumour, thoracic surgery involving sternal split & cervical rib (thoracic outlet syndrome)Muscles paralysed: Intrinsic muscles of hand (T1) & Ulnar side llexors of wrist and lingers (C8) Deformity:Motor fibres involved :Claw hand (hyper extension at MCP joint & flexion at IP joint)Sensory fibres involved:Anaesthesia & analgesia along the ulnar border of forearm and handTrophic changes (long standing cases)- dry & scaly skin, nail cracks and atrophy of pulp of fingersSympathetic fibres involved:Horner's syndrome (sympathetic fibres from Tl)Consists of Ptosis, Miosis, Enophthalmos, Anhydrosis & Loss of Ciliospinal reflex.Vasomotor changes - skin warm & dry (arteriolar dilatation)Note: Erb's paralysis: Upper trunk of brachial plexus involved, i.e. Erh's point (C5 & C6)